Which of the following is not a criteria of screening test?
1. Reliability
2. Validity
3. Credibility
4. Yield

Correct answer: 3. Credibility

Explanation: SCREENING TEST:

Less accurate, less expensive.

DIAGNOSTIC TEST:

More accurate, more expensive.

Criteria of screening test:

Reliability/repeatability – Test must give consistent result when repeated. 
Validity – Refers to what extent the test accurately measures, which it is suppose to measure (same as in index). 
Yield – It is the amount of previously unrecognized disease that is diagnosed as a result of screening.